Which of the following is not an alkylating agent ?
1. 5–FU
2. Busulfan
3. Cyclophosphamide
4. Melphalan

Correct answer: 1. 5–FU